The incidence of unpleasant dreams associated with emergence from ketamine anaesthesia can be reduced by administration of –
1. Atropine
2. Scopolamine
3. Physostigmine
4. Diazepam

Correct answer: 4. Diazepam

Explanation: Ketamine induced hallucination and emergence reactions can be reduced by giving benzodiazepines, along with ketamine. Opioids, barbiturates and inhalational agents can also decrease the incidence of hallucination and emergence reaction.